Which of the following is a holocrine gland?
1. Sweat gland
2. Breast
3. Pancreas
4. Sebaceous gland

Correct answer: 4. Sebaceous gland

Explanation: INDERBIR SINGH'S TEXTBOOK OF HUMAN HISTOLOGY-PAGE NO:204 Sebaceous glands The outermost layer are small and rest on a basement membrane.the inner cells are larger,more rounded,and filled with lipid .this lipid is discharged by disintegration of the inner most cells that are replaced by proliferation of outer cells.the sebaceous glands are therefore,examples of holocrine glands